Urinary incontinence results from all except ?
1. Neurogenic bladder
2. Vesico vaginal fistula
3. Ectopic ureter
4. Rectovesical fistula

Correct answer: 4. Rectovesical fistula

Explanation: Ans. is 'd' i.e., Rectovesical fistula